All of the following about Bacteriocins are true except?
1. Produced by coliform bacteria, Pseudomonas pyocyanea, Corynebacterium diphtheriae
2. Antibiotic Like substances
3. Bacteriocins enable intraspecies classification
4. Active against bacteriophages

Correct answer: 4. Active against bacteriophages

Explanation: Bacteriocins are antibiotic like substances produced by several strains of coliform bacteria.